Herpes simplex encephalitis affects ………………………….. lobe
1. Temporal
2. Parietal
3. Occipital
4. Frontal

Correct answer: 1. Temporal